Principles used in Radio Therapy is:
1. Infrared rays
2. Ionizing molecules
3. Charring of nucleoprotein
4. Ultrasonic effect

Correct answer: 2. Ionizing molecules

Explanation: B i.e. Ionizing molecules